Which action of extra-ocular muscle is spared in involvement of Occulomotor nerve :
1. Abduction
2. Depression
3. Elevation
4. Adduction

Correct answer: 1. Abduction

Explanation: A i.e. Abduction